Which is the screening test for acromegaly?
1. Serum IGF-2
2. Oral glucose tolerance test
3. GH levels
4. Serum IGF-1

Correct answer: 4. Serum IGF-1

Explanation: The screening test for acromegaly is Serum IGF-1 levels. IGF-2 is responsible for prenatal growth. Oral glucose tolerance test with GH obtained at 0, 30 and 60 minutes. Normal people can supress growth hormone to <1g/L. Due to pulsatile nature of GH secretion, measurement of a single random value is not useful for diagnosis or exclusion of acromegaly.